Crohn's disease
1. Has no increased risk for colonic cancer
2. Medical management includes antibiotics, immunosuppressive agents and biologic agents
3. Has no effect on fertility
4. Associated enteroenteric fistula is an indication for urgent surgery

Correct answer: 2. Medical management includes antibiotics, immunosuppressive agents and biologic agents

Explanation: .Medical therapy for crohn's disease includes * To induce remission - steroids * For maintenance - immunomodulating drugs like azathioprine * Antibiotics, metronidazole (as immunomodulator) * Monoclonal antibody - infliximab * Nutritional support Note: Patients with Crohn's disease should avoid NSAIDs ref:SRB's manual of surgery ,ed 3,pg no 802